All tests are used to detect live birth, except:
1. Ploucquet's test
2. Fodere's test
3. Gettler's test
4. Raygat's test

Correct answer: 3. Gettler's test

Explanation: Tests used to detect live birth: Wredin's test Breslau's second life test Plocquett's test Fodere's test Hydrostatic test/ raygat's test Gettler's test: To check chloride content in heart. (If difference between right and left heart chloride content is 25% or more, it is suggestive of antemortem drowning )